Equilibrium potential of K+
1. -70mV
2. -90mV
3. +70mV
4. +90mV

Correct answer: 2. -90mV

Explanation: Equilibrium potential of K+ is -90mV.(Ref: Textbook of physiology AK JAIN 4th edition page no.34)